True regarding golgi apparatus is A/E
1. Cis is receiving end
2. Trans is secretory end
3. Non polarized structure
4. Situated near nucleus

Correct answer: 3. Non polarized structure

Explanation: C i.e. Nonpolarized structure